State compliance of lung can be normal in
1. Normal individual
2. Bronchospasm
3. Obstructive lung disease
4. All of the above

Correct answer: 4. All of the above

Explanation: State compliance of lung is normal in

Normal individual
Bronchospasm
Obstructive lung disease
Endotracheal tube obstruction.